Which of the following is recommended in a woman with antiphospholipid antibodies and a history of prior abortions/stillbirth -
1. Aspirin only
2. Aspirin + Low molecular weight Heparin
3. Aspirin + Low molecular weight Heparin + Prednisolone
4. No treatment

Correct answer: 2. Aspirin + Low molecular weight Heparin